All are true about rabies except
1. Vaccine virus has fixed incubation period
2. It is a DNA virus
3. Incubation period depends upon site of bite
4. All bites on fingers with laceration are class III injuries

Correct answer: 2. It is a DNA virus